A 35-year-old HIV positive patient comes with intractable diarrhea, crampy, abdominal pain and vomiting. Biopsy of small intestine was taken which shows cyst <10 um as given below. What is the appropriate diagnosis?
1. CMV
2. Isospora belli
3. Cryptosporidium parvum
4. Giardia lamblia

Correct answer: 3. Cryptosporidium parvum

Explanation: - Kinyoun stain positive and clinical features like diarrhea in a immunocompromised individual highly suggestive of organism - Cryptosporidium parvum. - Its oocyst is of size 2-6 micron and it is pink coloured. - Cryptosporidium, microsporidia, and Isospora belli are the most common opportunistic protozoa that infect the GI tract and cause diarrhoea in HIV-infected patients. - Diarrhoea is accompanied by crampy abdominal pain, nausea and/or vomiting. - Diagnosis- stool Cryptosporidium examination or biopsy of the small intestine. - Diarrhoea is noninflammatory, and the characteristic finding is the presence of oocysts that stain with acid-fast dyes. - Treatment: - 2000 mg/d of nitazoxanide (NTZ)